Reese-Ellsworth classification categorises which of the tumours with respect to numbers, size and location?
1. Rhabdomyosarcoma
2. Retinoblastoma
3. Optic nerve sheath tumor
4. Meningioma

Correct answer: 2. Retinoblastoma

Explanation: Historically, Reese-Ellsworth classification was the commonest classification system used for Retinoblastoma. This classification categorizes retinoblastoma depending on whether the tumor is solitary or multiple, on its size and its location with respect to the equator. The latest classification used for retinoblastoma is International Classification of Retinoblastoma. It is based on tumor size, location and associated seeding. This classification correlates well with the outcomes of current management of retinoblastoma. Ref: Postgraduate Ophthalmology, Volume 2 By Zia Chaudhari, Page 1445